Best Prognosis is for
1. Fracture of Apical 3rd of root
2. Fracture in the Middle 3rd
3. Fracture in the coronal 3rd
4. Prognosis is unrelated to the location of fracture

Correct answer: 1. Fracture of Apical 3rd of root